Vit K is needed for which of these post transational modification processes-
1. Methylation
2. Carboxylation
3. Hydroxylation
4. Transketolation

Correct answer: 2. Carboxylation

Explanation: Ans. is 'b' i.e., Carboxylation : " The main function of vit K is the promotion of blood coagulation by helping in the post transcriptional modification of blood factors such as II, VH,IX,X (2, 7, 9, 10) *. Vit. K functions as a coenzyme for carboxylase. This converts the glutamate residues into Gamma carboxy glutamate residues."